Branching enzyme is found in ?
1. Glycogenesis
2. Glucogenesis
3. Glycogenolysis
4. Glycolysis

Correct answer: 1. Glycogenesis

Explanation: Ans. is 'a' i.e., Glycogenesis